Which of the following antipsychotic is a partial agonist at D2 receptors?
1. Olanzapine
2. Ziprasidone
3. Aripiprazole
4. Quetiapine

Correct answer: 3. Aripiprazole

Explanation: All antipsychotics are antagonists at D2 receptors except Aripiprazole which is a partial agonist.